Glasgow coma scale of a patient with head injury. He is confused, able to localize on right side and does flexion on left side and opens eye for painful stimuli on sternum.
1. 6
2. 11
3. 12
4. 7

Correct answer: 2. 11

Explanation: Ans. b. 11Ref: Bailey and Loves Short Practice of Surgery 27th Ed; Page No-331GLASGOW COMA SCALEEyes openVerbalMotorResponseScoreResponseScoreResponseScoreSpontaneously4Normal oriented conversation5Obeys commands6To verbal command3Confused4Localizes to pain5To painful stimulus2Inappropriate/words only3Withdrawal/flexion4Do not open1Sounds only2Abnormal flexion3 No sounds1Extension2 No motor response1 1Confused sate=4Able to localize the pain=5Eye opens for painful stimuli=2Total value of coma scale=4+5+2=11